In starvation, nitrogen is carried from muscle to liver and kidney by:
1. Alanine
2. Aspartic acid and Serine
3. Glycine
4. Asparagines

Correct answer: 1. Alanine

Explanation: A i.e. AlanineIn starvation , alanine and glutamine are quantitatively the most important gluconeogenic aminoacidsQ. So alanine carries nitrogen from muscle to liver & kidney for further metabolism & energy production during starvation.